Not a dietary source of vit. B12
1. Fish
2. Meat
3. Sovabean
4. Liver

Correct answer: 3. Sovabean

Explanation: C i.e. Soyabean